Basal cell carcinomas:
1. Usually metastasize to regional lymph nodes
2. Common on the face and neck
3. Common in females
4. Radio resistant

Correct answer: 2. Common on the face and neck